Most common cause of non traumatic subarachnoid hemorrhage -
1. Idiopathic
2. Berry aneurysm rupture
3. Hypertension
4. AV malformation

Correct answer: 2. Berry aneurysm rupture

Explanation: Ans. is 'b' i.e., Berry aneurysm o Excluding head trauma, most common cause of subarachnoid hemorrhage is rupture of a saccular (Berry) aneurysm.